What changes the conformation of alpha helix in collagen
1. Methionine
2. Proline
3. Alanine
4. Tyrosine

Correct answer: 2. Proline

Explanation: Ans. (b) ProlineRef: Harper's Biochemistry, 30th ed. pg. 141, 298-99* Proline is the amino acid which changes the conformation of the alpha helix in collagen due to the nature of proline having a cyclical structure. It also forms the ends of the beta sheets in the secondary structures.